All are seen in Fragile X syndrome except
1. Testicular enlargement is seen
2. Cause of mental retardation
3. Trinucleotide repeat mutations are present
4. Genomic imprinting

Correct answer: 4. Genomic imprinting

Explanation: D- Genomic imprinting Fragile X-syndrome is trinucleotide repeat mutation disorder a CGG repeat Features: Enlarged mandible Macro - orchids Large everted ears Mental retardation Other option B- Genomic imprinting is seen classically in Prader - Willi syndrome & Angelman Syndrome. Prader - Willi Syndrome Angelman Syndrome Deletion of band q.12 on long arm of paternal chromosome 15. Genes in this region of maternal chromosome 15 are already imprinted. - complete loss of functions Deletion of same region form maternal chromosome., paternal genes on ch15 are imprinted MR, Short-stature, hypotonia, hyperphagia, small hands & feet hypogonadism MR, ataxia seizures inappropriate laughter